In metastatic calcification:
1. Calcium metabolism and serum calcium level are normal.
2. Calcium metabolism is deranged and the serum calcium level is increased.
3. Calcium metabolism is deranged and the serum calcium is normal.
4. Calcium metabolism is normal and the serum calcium is increased.

Correct answer: 2. Calcium metabolism is deranged and the serum calcium level is increased.

Explanation: Dystrophic calcification occurs in dead and degenerated tissues. Calcium metabolism and serum calcium level are normal. Commonly occurs in different types of necrosis, infarcts, thrombi, hematomas etc.
Metastatic calcification occurs in normal tissues. The calcium metabolism is deranged and the serum calcium level is increased. Metastatic calcifications are seen in conditions like hyperparathyroidism, hyper vitaminosis D, Milk-alkali syndrome and bony destructive lesions like multiple myeloma and metastatic carcinoma.